IOC for Acute Aortic Dissection
1. Usg
2. CT-angio
3. Mr-Angio
4. Doppler

Correct answer: 2. CT-angio

Explanation: IOC for acute Aortic Dissection is CT-Angio In Unstable patients- Transesophageal Echocardiography MRI is NOT used in Acute conditions but is helpful in chronic dissections to better delineate the true and false lumen - Dissection of arterial wall forming shreds within false lumen - COB WEB SIGN - False lumen form an acute angle giving BEAK SIGN in aortic dissection COB WEB SIGN BEAK SIGN